Which is known as labourer's nerve?
1. Ulnar nerve
2. Axillary nerve
3. Radial nerve
4. Median nerve

Correct answer: 4. Median nerve

Explanation: Ans. D. Median nerveThe median nerve is the main nerve of the front of the forearm. It supplies the muscles of the front of the forearm and muscles of the thenar eminence, thus controlling the coarse movements of the hand. Therefore, it is also called "labourer's nerve".The median nerve originates from the lateral and medial cords of the brachial plexus, and has contributions from ventral roots of C5 -C7 (lateral cord) and C8 and T1 (medial cord).